Anterior horn of lateral ventricle is closed anteriorly by-
1. Thalamus
2. Septum pellucidum
3. Laminaterminalis
4. Corpus callosum

Correct answer: 4. Corpus callosum

Explanation: Ans. is 'd' i.e.. Corpus callosum [Ref: Essentials of Anatomy p. 521}o Anterior horn of lateral ventricle is closed anteriorly by the genu and rostrum of corpus callosum.Lateral ventricleo Two lateral ventricles are the cavities of cerebral hemisphere (one in each hemisphere). Each lateral ventricle communicates with third ventricle through interventricular foramen of Monro.o It is divisile into four partsCentral part (body): It is located in the medial parts of frontal and parietal lobes. It extends from interventricular foramen (of Monro) in front to splenium of corpus callosum behind. It has choroid plexus. It has :-y Roof: Formed by corpus callosum.Floor : Formed form lateral to medial by caudate nucleus (body), stria terminalis, thalamostriate vein, and lateral part of upper surface of thalamus.Medial wall (partition between two lateral ventricles) : By septum pellucidum and body of fornix.Anterior horn : It lies in front of interventricular foramen of Monro extending into the frontal lobe. It has no choroid plexus. Its bondries areAnterior : Posterior surface of genu and rostrum of corpus callosum.Roof: Anterior part of trunk of corpus callosum.Floor : Head of caudate nucleus and upper surface of rostrum of corpus callosum.Medial (partition) : Septum pellucidum and column of fornix.Posterior horn : It lies behind splenium of corpus callosum and extends into occipital lobe. It may be variable in size (may be absent). It has no choroid plexus. Its boundries areFloor and medial wall : Bulb of posterior horn raised by forceps major and calcar avis, an elevation raised by calcarine sulcus (anterior part).Roof and lateral wall: TapetumInferior horn : It is the largest horn and extends into temporal lobe. It has choroid plexus. Its boundries arei) Roof and lateral wall: Tapetum, tail of caudate nucleus, stria terminalis and amygdaloid body.ii) Floor : Collateral eminence (elevation by collateral sulcus) and hippocampus medially.